Most common cause dementia in adult-
1. Alzheimer's
2. Multiinfarct
3. Pick disease
4. Metabolic cause

Correct answer: 1. Alzheimer's

Explanation: Alzheimer's disease is the most common cause of dementia overall as well as in older adults.
Vascular dementia is the second most common cause. Amongst vascular dementia, multi-infarct dementia is the most common cause.